Quickening appears at about:
1. 6 weeks
2. 8-10 weeks
3. 16-20 weeks
4. 20-24 weeks

Correct answer: 3. 16-20 weeks

Explanation: Ans. 16-20 weeks